Following are features of Acute GN except:
1. Polyuria
2. Hematuria
3. Red cell cast
4. Oliguria

Correct answer: 1. Polyuria

Explanation: Answer is A (Polyuria): Acute Glomerulonephritis is characterized clinically by the syndrome of acute nephritis or nephritic syndrome. Acute Nephritic Syndrome HypertensionQ Hematuria with RBC cast in urinedeg OliguriaQ PyuriciQ AzotemiaQ Mild to moderate proteinuriaQ In Patients with Acute nephritis syndrome also commonly have proteinuria and EdemaQ If edema present these are not as severe as those encountered in nephrotic syndrome.